Which of the following is a virus induced epithelial hyperplasia?
1. Molluscum contagiosurn
2. Focal epithelial hyperplasia
3. Sguamous papilloma
4. All of the above

Correct answer: 4. All of the above